Epidemic keratoconjunctivitis is caused by:
1. Neisseria gonorrhoeae
2. Adenovirus
3. Corynebacterium diphtheriae
4. Mycobacterium tuberculosis

Correct answer: 2. Adenovirus

Explanation: Ans. B i.e. Adenovirus Conjunctivitis Haemorrhagic conjunctivitis: Enterovirus, Adenovirus, Coxsackie virus Phylectenular conjunctivitis: TB Giant papillary conjunctivitis: Contact lens Angular conjunctivitis: Moraxella